Term Psychiatry was coined by ?
1. Moral
2. Johann reil
3. Bleuler
4. Pinel

Correct answer: 2. Johann reil

Explanation: Ans. is 'b' i.e., Johann reil IMPORTANT CONTRIBUTORS IN PSYCHIATRY Term Coined by Demence precoce Dementia precox Catatonia, cyclotymia Hebephrenia Schizophrenia Ambivalence Free association Psychoanalysis, Psychodynamics Id, ego, Superego Psychiatry Moral Emil Kraepelin Kahlbaum Hecker Eugen Bleuler Eugen Bleuler Sigmund Freud Sigmunnd Freud Sigmund Freud Johann christion Reil